Commonest childhood tumor is:
1. Acute lymphoblastic leukemia
2. Chronic lymphoblastic leukemia
3. Chronic myeloid leukemia
4. Brain tumor

Correct answer: 1. Acute lymphoblastic leukemia

Explanation: Common Childhood Tumors are: Leukemia (ALL) > Brain tumors > Lymphoma > Neuroblastoma > Wilm's tumor. High yield points about childhood tumors: * Most common childhood leukemia is ALL * Most common tumor in infancy is Neuroblastoma * Most common solid tumor of childhood is Brain tumor * Most common intra-abdominal & extra-cranial solid tumor in childhood is Neuroblastoma * MC primary intra ocular tumor in children is RETINOBLASTOMA * MC primary renal tumor of childhood - WILM'S TUMOR